Which structure does not pass through foramen ovale:
1. Maxillary nerve
2. Accessory meningeal artery
3. Mandibular nerve
4. Lesser petrosal nerve

Correct answer: 1. Maxillary nerve

Explanation: Ans. A. maxillary nerveThe foramen ovale is situated in the posterior part of the sphenoid bone, posterolateral to the foramen rotundum.The following structures pass through foramen ovale:a. Mandibular nerveb. Motor root of the trigeminal nervec. Accessory meningeal arteryd. Lesser petrosal nervee. An emissary vein connecting the cavernous sinus with the pterygoid plexus of veins